Action of popliteus muscle -
1. Medial rotation of femur
2. Lateral rotation of femur
3. L ocking of knee
4. Extension of knee

Correct answer: 2. Lateral rotation of femur

Explanation: Ans. is 'b' i.e., Lateral rotation of femur Popliteuso Popliteus is a deep muscle of posterior compartment of leg.o Features of popletius are -OriginLateral surface of lateral condyle of femur, origin is intracapsular.Outer margin of lateral meniscus of knee,insertionPosterior surface of shaft of tibia above soleal line.Nerve supplyTibial nerveActionClocks knee joint by lateral rotation of femur on tibia prior flexion.Accessory flexor of knee